Which of the following is not a part of extracellular matrix?
1. Laminin
2. Fibronectin
3. Vimentin
4. Collagen

Correct answer: 3. Vimentin

Explanation: Extracellular matrix (ECM) is a network of interstitial proteins that constitutes a significant proportion of any tissue. ECM serves several key functions: Mechanical support Control of cell proliferation Scaffolding for tissue renewal Establishment of tissue microenvironments Components of Extracellular matrix Fibrous structural proteins Such as collagens and elastins that confer tensile strength and recoil Water-hydrated gels Such as proteoglycans and hyaluronan that permit compressive resistance and lubrication Adhesive glycoproteins:-Connect ECM elements to one another and to cells Fibronectin Laminin Integrins